Ectopia lentis is seen in all of the following except:
1. Marfan's syndrome
2. Homocystinuria
3. Weil-Marchesani syndrome
4. Down syndrome

Correct answer: 4. Down syndrome

Explanation: Ans. D: Down syndrome Ectopia lentis is a displacement or malposition of the eye's crystalline lens from its normal location. More common: Marf an syndrome Homocystinuria Weil-Marchesani syndrome Sulfite oxidase deficiency Hyperlysinemia Less common: Ehlers-Danlos syndrome Crouzon disease Refsum syndrome Sturge-Weber syndrome Pierre Robin syndrome